Which of the following condition causes hyperuricemia due to both increased production and decreased excretion?
1. PRPP Synthetase over activity
2. Glucose-6-phosphatase Deficiency
3. HGPRT deficiency
4. Renal failure

Correct answer: 2. Glucose-6-phosphatase Deficiency

Explanation: Von Gierke disease cause hyperuricemia by both ways: Overproduction: Glucose 6 phosphatase deficiency leads to diversion of glucose-6-phosphate to HMP shunt -| ribose-5-phosphate -|PRPP - nucleotide synthesis - |Uric Acid. Underexcretion: Accumulated lactic acid competes with uric acid for renal excretion.